A 30 year old HIV positive male who is on antiretroviral therapy has pain in the right hip joint for 2 months. He has difficulty in abduction and internal roatation. Which of the following is most likely diagnosis?
1. Septic arthritis
2. Osteoarthritis
3. Avascular necrosis
4. Tubercular arthritis

Correct answer: 3. Avascular necrosis

Explanation: AVASCULAR NECROSIS OF HIP : Limitation to abduction and internal rotation is a characteristic clinical feature of altered shape of femoral head. It is seen in AVN and can be seen in Perthes or Slipped capital femoral epiphysis. Use of protease inhibitor in HIV positive patients is associated with an increased risk of avascular necrosis of femoral head or osteonecrosis. In this question if it is asked that patient has flexion abduction and external roatation deformity then Tuberculosis will be a better answer because this is seen in stage 1 of Tuberculosis of hop and is usually not seen in AVN REF : MAHESWARI 9TH ED